Anesthetic having epileptogenic potential?
1. Enflurane
2. Nitrous oxide
3. Desflurane
4. Isoflurane

Correct answer: 1. Enflurane

Explanation: Sevoflurane and enflurane may be associated with epileptiform activity on the EEG, especially at higher concentrations or when controlled hyperventilation is instituted. Seizure-like activity has been reported in children during sevoflurane induction, but the clinical implications of these observations are not clear Basics of Anaesthesia 7e pg: 110